Sputum can be disinfected by all except:
1. Auto claving
2. Boiling
3. Cresol
4. Chlorhexidine

Correct answer: 4. Chlorhexidine

Explanation: Ans. d. Chlorhexidine Sputum can be disinfected by autoclaving, boiling or Cresol. Chlorhexidine has no role in disinfection of sputum. "Chlorhexidine (hibitane) is one of the most useful skin antiseptic. Creams and lotion containing 1% Chlorhexidine are recommended for burns and hand disinfection."